Retina develops from
1. Neural ectoderm
2. Endoderm
3. Surface ectoderm
4. Mesoderm

Correct answer: 1. Neural ectoderm

Explanation: HUMAN EMBRYOLOGY-INDERBIR SINGH TENTH EDITION-PAGE NO:362